Mandibular nerve passes through following foramen:
1. F. ovale
2. F. rotundum
3. F. spinosum
4. F. lacerum

Correct answer: 1. F. ovale

Explanation: A i.e. Foramen ovale - Vidian nerve and artery pass through pterygoid canalQ. Foramen spinosum pass MEN i.e. Middle meningeal artery, Emissary vein & Nervous spinosus (meningeal br. of mandibular nerve). - Foramen ovale pass MALE i.e. Mandibular nerveQ, Accessory meningeal artery, Lesser petrosal nerve and Emissary vein.